Puppe's rule deals with -
1. Chemical injuries
2. Multiple impact injuries
3. Sexual assault
4. Percentage of burns

Correct answer: 2. Multiple impact injuries

Explanation: Ref: The synopsis of forensic medicine & toxicology ;Dr k.s narayan reddy ; 28th edition ;pg.no. 131 Puppet's rule is applicable to any multiple blunt force causing skull fractures . The test depends on the observation of the fracture lines either when they intersect each other or when they intersect a cratered lesion ,so that one can determine which crack or defect have been formed first .